Drug of choice for precocious puberty:
1. Cyproterone acetate
2. Danazol
3. Medroxyprogesterone
4. GnRH agonists

Correct answer: 4. GnRH agonists

Explanation: Treatment of precocious puberty: Rx the underlying cause Long acting GnRH analogues (Leuprolide)